Dermal nitrate test is done for
1. Sperm
2. Blood
3. Corrosive
4. Gun powder

Correct answer: 4. Gun powder

Explanation: D i.e. Gun powder